Tension pneumothorax is associated with -
1. Mediastinal displacement away from the lesion
2. Decreased percussion note on the side of the lesion
3. increased blood pressure
4. Stridor

Correct answer: 1. Mediastinal displacement away from the lesion

Explanation: In tension pneumothorax the pressure in pleural space is positive throughout the respiratory cycle. This condition usually occurs during mechanical ventilation and resuscitative efforts. Difficulty in ventilation during resuscitation or high peak inspiratory pressures during mechanical ventilation strongly suggest the diagnosis. Physical examination shows : Enlarged hemithorax Absent breath sounds Hyperresonance on percussion Shift of mediastinum to contralateral side The positive pleural pressure in tension pneumothorax is life threatening because ventilation is severely compromised and the positive pressure is transmitted to mediastinum resulting in decreased venous return to heart and reduced cardiac output. Hence it should be treated as a medical emergency. If not treated immediately the patient may die of inadequate cardiac output and hypoxemia. Ref Davidson edition23rd pg 627